Nagayama spots is seen in
1. Measles
2. Mumps
3. Rubella
4. Roseola infantum

Correct answer: 4. Roseola infantum

Explanation: Ulcer at Uvulopalatoglossal  junction is called Nagayama spots caused by Roseola infantum.